Hot nodule is seen in:
1. Adenolymphoma
2. Mixed parotid
3. Adenocystic carcinoma
4. All

Correct answer: 1. Adenolymphoma

Explanation: Ans. Adenolymphoma